Major criteria for rheumatic fever are -
1. Carditis
2. Arthalgia
3. Fever
4. All of above

Correct answer: 1. Carditis

Explanation: Ans- A Carditis